Fine touch is detected by
1. Ruffini's nerve ending
2. Krausse's bulb
3. Pacinian corpuscle
4. Merkels disc

Correct answer: 4. Merkels disc

Explanation: Merkel's discs are concerned with perception of touch, therefore called tactile receptors. Besides touch sensibility, these receptors also respond to changes in texture, slow vibrations, and sustained pressure. They form the expanded tips and encapsulated endings respectively on the sensory nerve terminals of A fibres. Merkel's discs are rapidly adapting receptors. This is why we do not feel our clothes once they are put on.Ref: Textbook of physiology, Dir. Prof. AK Jain, 5th edition